Topical steroids are not recommended post-surgery for:
1. Allergic fungal sinusitis
2. Chronic rhinosinusitis
3. Antrochoanal polyp
4. Ethmoidal polyps

Correct answer: 3. Antrochoanal polyp

Explanation: Ans. c. Antrochoanal polyp For antrochoanal polyps, cause is infection and not the allergy. Antrochoanal polyps are single, unilateral and rarely recur. Topical steroids are rarely recommended.' `Corticosteroid nasal sprays have been shown to delay the recurrence of polyps after surgery however, the benefit for nonpolypoid chronic rhinosinusitis has been harder to demonstrate Chronic Rhinosinusitis: Corticosteroid nasal sprays have been shown to delay the recurrence of polyps after surgery however, the benefit for nonpolypoid CRS has been harder to demonstrate. Multiple ethmoidal polyps: Antihistaminic, low dose steroids, local steroid sprays, help to regress the ethmoidal polyps to a certain extent. However, the above treatment rarely eliminates well-formed polyps and is often combined with surgery. Post antrochoanal surgery: Most patients with antrochoanal polyps have a history of chronic sinusitis and/or allergy (rarely). The dominating symptoms are nasal obstruction and chronic rhinorrhea. Other common symptoms of ACPs in children are snoring, nocturnal sleep apnea and recurrent upper respiratory tract infections. Computed tomography is an important radiological examination of choice for evaluation of antrochoanal polyps. The treatment of choice is always surgical. Functional endoscopic sinus surgery (FESS) with polypectomy has been the dominating surgical approach. Antrochoanal polyps are single, unilateral and rarely recur. Topical steroids are rarely recommended. Allergic Fungal Sinusitis: The treatment of choice is generally surgery. Systemic steroids may be indicated once surgery is performed and the diagnosis is confirmed. Topical nasal steroids are helpful postoperatively. Aggressive nasal salt-water washes are recommended. Systemic antifungals are not indicated in the absence of invasion.